Unpaired muscle of perineal body among the following is
1. Bulbospongiosus
2. Longitudinal muscle of anal canal
3. Deep transverse perineal muscle
4. Levator Ani

Correct answer: 2. Longitudinal muscle of anal canal

Explanation: The two Unpaired muscles of perineal body are

Longitudinal muscle of anal canal
External and sphincter